All are associated with decreased sense of smell except?
1. Parkinsonism
2. Kallmann Syndrome
3. Gullain barre syndrome
4. HIV infection

Correct answer: 3. Gullain barre syndrome

Explanation: Gullain barre syndrome does not present with anosmia Non-motor symptoms of Parkinsonism are constipation, anosmia, and REM behavior sleep disorder. Kallmann syndrome presents with anosmia due to olfactory bulb agenesis/ hypoplasia. HIV infection can also affect olfactory bulbs leading to anosmia